Thiopentone has cerbroprotective effect because of –
1. Decrease cerebral metabolism
2. Reduction of vasospasm
3. Calcium channel blockage
4. Free redical removal

Correct answer: 1. Decrease cerebral metabolism

Explanation: Thiopentone may be used as a cerebroprotective agent as it consistently reduces the cerebral metabolic rate (cerebral oxygen consumption).